Which of the following nuclei belongs to the general visceral efferent column
1. Facial nerve nucleus
2. Trigeminal nerve nucleus
3. Dorsal nucleus of Vagus
4. Nucleus ambiguous

Correct answer: 3. Dorsal nucleus of Vagus

Explanation: C. i.e. Dorsal nucleus of vagus